Which of the following debts is least likely to required dosage reaction in Renal dysfunction
1. Amikacin
2. Ciprofloxain
3. Clindamycin
4. Vancomycin

Correct answer: 3. Clindamycin

Explanation: Ref-KDT 6/e p731,732 Clindamycin is excreted by biliary route and therefore can be used safely in renal dysfunction, Other drugs excreted in bile are: Ampicillin Nafcillin Chloramphenicol Novobiocin Rifampicin Doxycycline